Swollen belly syndrome is caused by:
1. Ascaris lumricoides
2. Strongyloides stercoralis
3. Strongyloides fuelleborni
4. Wucheraria bancrofti

Correct answer: 3. Strongyloides fuelleborni

Explanation: Strongyloides fuelleborni is the causative agent of Swollen belly syndrome in which young toddlers are usually affected. Ascaris lumricoides-aka round worm , may cause intussception ,massive eosinophilia Strongyloides stercoralis-larve currens Wucheraria bancrofti-actte/chronic filariasis